Kartagener's syndrome includes -
1. Situs inversus
2. Bronchiectasis Sinusitis
3. Male infertility
4. All

Correct answer: 4. All

Explanation: Ans. is 'a' i.e., Situs inversus; 'b' Bronchiectasis, Sinusitis' `c' Male infertility o Kartagener's syndrome is a subgroup of primary ciliary dyskinesia. Primary ciliary dyskinesia ? o It is an antosomal recessive syndrome. o It is characterized by poorly functioning cilia. There is absence or shortening of Dynein arms that are responsible for the coordinated bending of cilia. o Approximately half of the patients with primary ciliary dyskinesia have kartagener's syndrome. Kartagener's syndrome Poor functioning of cilia contribute to retention of secretions and recurrent infections Sinusitis --> Lack of ciliary activity interferes with bacterial clearance, predisposing sinuses to infection Situs inversus ---> Due to ineffective cell motility during embryogenesis Infertility Due to ineffective mobility of sperm